A young girl has had repeated infections with Candida albicans and respiratory viruses since the time she was 3 months old. As part of the clinical evaluation of her immune status, her responses to routine immunization procedures should be tested. In this evaluation, the use of which of the following vaccines is contraindicated?
1. Diphtheria toxoid
2. Bordetella pertussis vaccine
3. Tetanus toxoid
4. BCG

Correct answer: 4. BCG

Explanation: Recurrent severe infection is an indication for clinical evaluation of immune status. Live vaccines, including BCG attenuated from Mycobacterium tuberculosis, should not be used in the evaluation of a patient's immune competence because patients with severe immunodeficiencies may develop an overwhelming infection from the vaccine. For the same reason, oral (Sabin) polio vaccine is not advisable for use in such persons. Reference: Ananthanarayan and Paniker's Textbook of Microbiology Tenth edition